Which of the following has autosomal inheritance?
1. Hemophilia
2. Marfan syndrome
3. CHD
4. Gout

Correct answer: 2. Marfan syndrome

Explanation: Ans. is 'b' i.e., Marfan syndrome Marfan syndrome is an autosomal disorder (autosomal dominant). o Hemophilia is X-linked recessive. o CHD and gout have multifactorial inheritence.